A 28 years old lady is suspected to have polycystic ovarian disease. Sample for testing LH & FSH are best taken on the following days of menstrual cycle:
1. 4-Jan
2. 10-Aug
3. 13-15
4. 24-26

Correct answer: 1. 4-Jan

Explanation: In PCOS, determination of FSH and LH levels may help to confirm the diagnosis of polycystic ovaries.These are assayed on 2nd or 3rd day of the cycle.